All of the following changes are seen in dysplasia of squamocolumnar junction, except:
1. Breaking of basement membrane
2. Change of epithelium
3. Hyperchromatic nuclei
4. Increased mitotic figure

Correct answer: 1. Breaking of basement membrane

Explanation: Ans. is a, i.e. Breaking of basement membraneRef: Robbin's 7th/ed, pl076, Shaw 15th/ed, p400Dysplasia: Represents a change in which there is alteration in cell morphology and disorderly arrangement of the cells of the stratified squamous epithelium. It is a premalignant lesion.Characteristics of Dysplastic cell:* Vary in sizeQ, shapeQ and polarityQ.* Have altered nucleo-cytoplasmic ratio (N/C ratio is increased).Q* Have large, irregular hyperchromatic nuclei with marginal condensation of chromatin material.Q* Have several mitotic figures.* The basement membrane, however, is intact and there is no stromal infiltration.